Alma ata Conference was held in -
1. 1978
2. 1956
3. 1977
4. 1948

Correct answer: 1. 1978

Explanation: Alma Ata Conference was conducted in 1978 at USSR. The declaration of Alma Ata stated that primary health care includes: Education about prevailing health problems Promotion of food suppky and proper nutrition A adequste supply of safe water and basic sanitatiin Maternal and child health care Immunization against infectious disease Prevention and control of epidemic diseases Appropriate treatment of common diseases and injuries Provision of essential drugs. Parks textbook of preventive and social medicine.K Park. Edition 23.Pg no: 30